The drug antabuse acts by-
1. Decreasing ethanol absorption
2. Enhancing urinary excretion of ethanol
3. Increasing pulmonary excretion of ethanol
4. Blocking metabolism of ethanol

Correct answer: 4. Blocking metabolism of ethanol

Explanation: Ans. is 'd' i.e., Blocking metabolism of ethanol o Antabuse (disulfiram) inhibits the enzyme alcohol dehydrogenase. o By inhibiting alcohol dehydrogenase antabuse (disulfiram) inhibits the metabolism (oxidation) of alcohol. o Disulfiram is used in psychologically dependent but not in physically dependent alcoholics.